Which artery does not contribute to little's area?
1. Septal branch of facial artery
2. Anterior ethmoidal artery
3. Sphenopalantine Art
4. Posterior ethmoidal Art

Correct answer: 4. Posterior ethmoidal Art

Explanation: The anterior part or vestibule of the septum contains anastomosis Between the septal ramus of superior labial branch of facial artery, branch of sphenopalatine artery, greater palatine and of anterior ethmoidal artery.These form a large capillary network called kiesselbachs plexus and this area is called LITTLE'S AREA. REFER BDC SIXTH EDITION VOL 3 PAGE NO: 241